During Health Planning, assessment of final outcome of a predetermined objective is termed as:
1. Evaluation
2. Monitoring
3. Input Output Analysis
4. Network Analysis

Correct answer: 1. Evaluation

Explanation: During Health Planning, assessment of final outcome of a predetermined objective is termed as evaluation. Evaluation is mostly concerned with the final outcome and with factors associated with it. In words of the WHO Expert Committee on National Health Planning in Developing Countries, evaluation measures the degree to which objectives and targets are fulfilled and the quality of the results obtained. It measures the productivity of available resources in achieving clearly-defined objectives. It measures how much output or cost-effectiveness is achieved. It makes possible the reallocation of priorities and of resources on the basis of changing health needs" Ref: Park's Textbook of Preventive and Social Medicine, 19th Edition, Page 723